Rigor mortis can be simulated by
1. Cadaveric spasm
2. Algor mortis
3. Adipocere
4. Livor mortis

Correct answer: 1. Cadaveric spasm

Explanation: A i.e. Cadaveric spasm